Endothelium derived relaxing factor (EDRF) induced vasodilatation is mediated by:
1. Increased intracellular cGMP
2. Decreased intracellular cGMP
3. Increased extracellular cyclic AMP
4. Decreased intracellular cyclic AMP

Correct answer: 1. Increased intracellular cGMP

Explanation: Endothelial cells produce endothelium derived relaxing factor (EDRF), a substance that is now known to be nitric oxide (NO).
NO and ANP hormone act via increasing intracellular cGMP.